Atropine and acetylcholine show the following type of antagonism?
1. Competitive
2. Non competetive
3. Both of the above
4. None of the above

Correct answer: 1. Competitive

Explanation: Ans. is 'a' i.e., Competetive